Baby with diarrhoea presents with restlessness, irritability sunken eyes and baby is thirsty and drinks eagerly. What is the diagnosis of this child?
1. No dehydration
2. Some dehydration
3. Severe dehydration
4. Very Severe dehydration

Correct answer: 2. Some dehydration

Explanation: Some dehydration

Child is restless, irritable.
Sunken eyes
Absent tears
Child is thirsty and drinks eagerly.
Skin pinch goes back slowly.